A primigravida is fully dilated with vertex presentation. The head is well rotated and the station is +2. There is late deceleration on fetal heart monitoring. If the pelvis is adequate, the most appropriate management is this case would be :
1. Waiting for spontaneous delivery
2. Forceps delivery
3. Vaccum extraction
4. Cesarean section

Correct answer: 2. Forceps delivery

Explanation: Forceps delivery